Unilateral sensorineural hearing loss may occur in-
1. Coronavirus
2. Mumps
3. Pertussis
4. Rotavirus

Correct answer: 2. Mumps

Explanation: Ans. is 4b' i.e., Mumps o Unilateral sensorineural hearing loss may occur in mumps due to involvement of the labyrinth, o Sudden deafness has been noticed.Acquired causes of SNHLo Infections of labyrintho Trauma to labyrinth or VIII nerve (Head injury, surgery etc)o Noise induced hearing losso Ototoxic drugso Presbycusiso Meniere's diseaseo Acoustic neuromao Sudden hearing losso Systemic disorders (DM, Hypothyroidism, Renal disorders)o Multiple sclerosiso Smoking & Alcoholism